Chemoprophylaxis is not required in
1. Typhoid
2. Meningococcal meningitis
3. Bacterial conjunctivitis
4. Malaria

Correct answer: 1. Typhoid

Explanation: Cholera: Tetracycline or furazolidone for household contacts Bacterial conjunctivitis: Erythromycin ophthalmic ointment Diphtheria: Erythromycin Influenza: Oseltamivir Meningitis, meningococcal: Ciprofloxacin, and minocycline Plague: Tetracycline for contacts of pneumonic plague Ref: 25th edition, Park's Textbook of Preventive and Social Medicine, Page no. 137